Minute Volume is -
1. Vital capacity x respiratory rate
2. IRV x respiratory rate
3. ERV x respiratory rate
4. Tidal volume x respiratory rate

Correct answer: 4. Tidal volume x respiratory rate

Explanation: Ans. is 'd' i.e., Tidal volume x respiratory rateMinute volumeo It is the amount of air breathed in (inspired) or out (expired) by the lungs in one minute. So, minute volume = Tidal volume x Respiratory rate.o It is at about 6L (500 ml tidal volume x 12 breath per minute respiratory rate)o Minute volume is considered as a measure of pulmonary ventilation.